"Blow-out" fracture of orbit involves:
1. Floor
2. Medial wall
3. All of the above
4. None of the above

Correct answer: 3. All of the above

Explanation: Ans. All of the above